The most common route of spread in hepatitis E is -
1. Blood transfusion
2. Feco-oral
3. Intercourse
4. IV injection

Correct answer: 2. Feco-oral